Good prognostic factor in schizophrenia:
1. Insidious onset
2. Positive symptoms
3. Disorganized subtype
4. Absence of depression

Correct answer: 2. Positive symptoms

Explanation: Ans: B (Positive symptoms) Ref: A Short Textbook of Psychiatry by Niraj Ahuja, 7th edition. 201L Jay pee, Page 62 Explanation: (See table below) Prognostic Factors in Schizophrenia Sl no Good prognostic factors Poor prognostic factors 1 Acute or abrupt onset Insidious onset 2 Onset >35 years (Late Onset) Onset < 20 years ( Early Onset) 3 Presence of precipitating stressor 4 Good premorbid adjustment Poor premorbid adjustment 5 Catatonic Subtype Disorganised, simple, undifferentiated, chronic catatonic subtypes 6 Short dura! bn ( < 6 months) Chronic course ( > 2 years) 7 Presence of Depression Absence of Depression 8 A predominance of Positive symptoms Predominance of Negative symptoms 9 Family history of mood disorder Family history of Schizophrenia 10 First episode Past history of Schizophrenia 11 Pyknic (Fat) Physic Asthenic (Thin) physique 12 Female sex Male sex 13 Good social support Poor social support or unmarried 14 Presence of confusion, perplexity, or disorientation n the acute phase Fiat or blunted affect 15 Proper treatment, good treatment, concordance Absence of proper treatment 16 Good response to treatment Poor response to treatment 17 Outpatient treatment Long-term hospitalization 18 Normal cranial CT scan Evidence of 'ventricular enlargement on CT scan